All are features of Bartter syndrome EXCEPT?
1. Hypokalaemia
2. Metabolic Alkalosis
3. Hypocalciuria
4. Salt wasting

Correct answer: 3. Hypocalciuria

Explanation: Bartter syndrome is an autosomal recessive disorder characterized by hypokalemia and metabolic alkalosis resulting from excessive chloride, potassium and sodium wasting in the thick ascending limb of the loop of Henle. In Bartter syndrome: Hypochloremic Metabolic alkalosis, hypokalemia, hyponatremia, hypercalciuria and increased urinary chloride loss are seen. Elevated urinary levels of chloride (>20-30 mEq/L) are characteristic of Bartter syndrome.